Infarcts involving which part of the myocardium cause aneurysm as a post-Myocardial infarction complication
1. Anterior transmural MI
2. Posterior transmural MI
3. Subendocardial MI
4. Inferior wall MI

Correct answer: 1. Anterior transmural MI

Explanation: * Ventricular aneurysms are circumscribed, thinwalled fibrous, noncontractile outpouchings of the ventricle. * An aneurysm is a severely scarred portion of infarcted ventricular myocardium that does not contract normally. * A ventricular aneurysm may develop in some patients following a large MI (especially anterior). * Instead, during ventricular systole the aneurysmal portion bulges outward while the rest of the ventricle is contracting. * Ventricular aneurysms may occur on the anterior or inferior surface of the heart. Ref: Friedman BM, Dunn MI. Post infarction ventricular aneurysms. Clinical cardiology.